Dry mouth during antidepressant therapy is caused by blockade of -
1. Muscarinic acetylcholine receptors
2. Serotonergic receptors
3. Dopaminergic receptors
4. GABA receptors

Correct answer: 1. Muscarinic acetylcholine receptors

Explanation: Ans. is 'a' i.e., Muscarinic acetylcholine receptors "Blurred vision, dry mouth, urinary hesitancy or retention, and constipation represent the most common antimuscarinic complaints".